Stone seen in urinary tract infection is -
1. Calcium oxalate
2. Uric acid stones
3. Staghorn calculus
4. Cysteine stones

Correct answer: 3. Staghorn calculus

Explanation: Ans. is 'c' i.e., Staghorn calculus Urolithiasiso Calcium Oxalate stones - associated with hypercalcemia and hypercaleiuriao Staghorn Calculi - Large Magnesium ammonium phosphate stones formed in patients with infection of urine splitting organisms (Proteus and some staphylococci) followed by precipitation in alkaline urine,o Uric acid stones - Patients with hyperuricemiao Cystine stones - Genetic defect in renal reabsorption of cytine leading to cystinuria.